A patient is suspected to have Vestibular Schwannoma. The investigation of choice for its diagnosis is:
1. Contrast enhanced CT scan
2. Gadolinium enhanced MRI
3. SPECT
4. PET scan

Correct answer: 2. Gadolinium enhanced MRI

Explanation: Gadolinium enhanced MRI